Not a feature of Achondroplasia
1. Tombstone iliac bone
2. Champagne glass pelvis
3. Acromelic dwarfism
4. Bullet shaped vertebra

Correct answer: 3. Acromelic dwarfism

Explanation: Achondroplasia :- - an autosomal dominant condition with altered FGFR3 Gene - Most common skeletal dysplasia - It has Rhizomelic Dwarfism(Shortened Proximal Bones) - M/C/C of disproportionate dwarfism Features includes :- - champagne glass pelvis - tombstone iliac bone - bullet shaped vertebra Bowed and short bones of the legs with square lilac blades and champangne glass pelvis. Achondroplasia.